The size of the film used for lateral cephalogram:
1. 8x10 inch
2. 6x12 inch
3. 1.5x7 inch
4. 57x76 mm

Correct answer: 1. 8x10 inch

Explanation: Size 0 – 22 x 35 - 1°dentition
Size 1 – 24 x 40 – Anterior
Size 2 – 31 x 41 – Adult
Note: Size 1 and 2 is used for transitional dentition
57 x 76 mm film – Occlusal view
8 x 10 inch – Lateral cephalograms, PNS view
6 x 12 inch – OPG
1.5 x 7 inch – TMJ + Lateral oblique view